Endotoxin from gram negative organism is :
1. Polysaccharide
2. Glycoprotein
3. Lipoprotein
4. Lipo-polysaccharide

Correct answer: 4. Lipo-polysaccharide

Explanation: Ans. is 'd' i.e. Lipopolysaccharide Distinguishing feature of Exotoxin and endotoxiinsExotoxinsEndotoxins* Proteins** Lipopolysaccharide** Heat labile** Heat stable** Secreted by cells** forms part of cell wall** Action enzymic** No enzymic action** Active in minute dose ** Active only in large dose** Highly antigenic** Weakly antigenic** Action specifically neutralised by antibody* Neutralisation of antibody ineffective* Specific pharmacologic effect for each toxin ** Effect nonspecific** Can be toxoided* Cannot be toxoided